Multiple Punched out lesions on skull X-Ray is found in:
1. Down's
2. HyperParathyroidism
3. Multiple Myeloma
4. All

Correct answer: 3. Multiple Myeloma

Explanation: C i.e. Multiple myeloma Features Disease Multiple punched out lesions Multiple myelomaQ Hair on end skull vault ThalessemiaQ, Sickel cell Anemia Erosion of dorsum sella Raised ICT (earliest & most common) Silver Beaten app. of vault Raised ICT Sunray calcification with spicules Meningioma